A 65-year-old woman undergoes a kidney transplant for CKD. 6 weeks after the transplant, she develops CMV infection characterized by fever, malaise, and myalgias. Which of the following is a potential sequela of CMV infection?
1. Intra-abdominal abscess
2. Pyelonephritis
3. Cholecystitis
4. GI ulcers & hemorrhage

Correct answer: 4. GI ulcers & hemorrhage

Explanation: Viral infections are the most common infection post transplantation. These include infections by cytomegalovirus (CMV), Epstein-Barr virus (EBV), herpes simplex virus, and varicella zoster virus. CMV infections presents as fever, malaise, myalgia, arthralgia, and leukopenia. Organ involvement leads to pneumonitis; ulceration and hemorrhage in the stomach, duodenum, or colon; hepatitis; esophagitis; retinitis; encephalitis; or pancreatitis. Pyelonephritis, cholecystitis, intra-abdominal abscesses, and parotitis are caused by bacterial infections or GI perforation and not primarily by CMV infection.